Alkylating drugs attach alkyl group to _________ position of guanine
1. N3
2. N5
3. N7
4. N9

Correct answer: 3. N7

Explanation: Alkylating drugs attach alkyl group to N7 of Guanine and results in mispairing of nitrogenous bases.